Which of the following is not true about medullary carcinoma of thyroid -
1. Origin is from `C' cells of thyroid
2. Component of MEN-1
3. Multicentric in origin
4. Amyloid deposition

Correct answer: 2. Component of MEN-1

Explanation: Medullary thyroid carcinoma is associated with MEN 2 (2A & 2B), and not with MEN-1.
When medullary thyroid carcinoma occurs as a part of MEN syndrome, it may be multicentric.